A patient presents with unconjugated hyperbilirubinemia and elevated urobilinogen levels in urine. The most likely diagnosis is -
1. Hemolytic Jaundice
2. Crigler Najjar syndrome
3. Gilbert's syndrome
4. Dubin Johnson syndrome

Correct answer: 1. Hemolytic Jaundice